Which area is involved for the memory deficit in posterior cerebral artery embolism?
1. Pre frontal cortex
2. Hippocarpal gyrus
3. Angular gyrus
4. Superior temporal gyrus

Correct answer: 2. Hippocarpal gyrus

Explanation: Memory deficit is present only if dominant hemisphere is involved. The most common long-term sequelae of PCA strokes are visual and sensory deficits. Infarction of the medial temporal lobe, fornices, or medial thalamic nuclei may result in permanent anterograde amnesia. Lesions of the lingual gyrus in the inferior occipital lobe may produce disorders of color perception. Pure alexia may result from infarction of the dominant occipital cortex. Prosopagnosia refers to an inability to recognize faces. Typically, this deficit results from bilateral lesions of the lingual and fusiform gyri. The major posterior cerebral artery (PCA) stroke syndromes (many of which occur concomitantly) include the following: Paramedian thalamic infarction Visual field loss Visual agnosia Balint syndrome Prosopagnosia Palinopsia, micropsia, and macropsia Disorders of reading Disorders of color vision Memory impairment Motor dysfunction